In a Subclavian artery block at the outer border of 1st rib, all of the following arteries help in maintaining the circulation to upper limb except?
1. Subscapular artery
2. Superior thoracic
3. Thyrocervical trunk
4. Suprascapular artery

Correct answer: 2. Superior thoracic

Explanation: A rich anastomoses exists around the scapula between branches of subclavian artery (first part) & the axillary artery (third part).This anastomoses provides a collateral circulation through which blood can flow to the limb when the distal part of subclavian artery or the proximal part of axillary artery is blocked.